Cataract is a cause of:
1. Painful sudden vision loss
2. Painless sudden vision loss
3. Painful gradual vision loss
4. Painless gradual vision loss

Correct answer: 4. Painless gradual vision loss

Explanation: Painless gradual vision loss